Which of the following is primordial prevention -
1. Avoiding nicotine
2. Chemoprophylaxis
3. Vaccination
4. Screening

Correct answer: 1. Avoiding nicotine

Explanation: Ans. is 'a' Level of prevention Examples o Primordial prevention o Discouragement from adapting a harmful lifestyle, e.g. smoking o Primary prevention o Immunization (vaccination) o Chemoprophylaxis o Nutritional supplementation programmes o Chlorination of water o Using a mosquito net o Health education o Secondary prevention o Screening test o Case finding programmes o Early diagnosis & treatment o Tertiary prevention o Disability limitation # Resting the affected limb in neutral position in PRPP to prevent deformity o Rehabilitation # Estabilishing schools for blind # Provision of aids for crippled # Reconstructive surgery in leprosy # Muscle re-education and graded exercise in neurological disorder like polio # Changing profession for a more suitable one